Basiliximab is a monoclonal antibody against
1. IL-2 receptor
2. CD 20 %
3. TNF alpha
4. IL-6

Correct answer: 1. IL-2 receptor

Explanation: (A) IL-2 receptor[?]IL-2 is a type of cytokine signaling molecule in the immune system that regulates the activities of white blood cells (leukocytes, often lymphocytes) that are responsible for immunity.oBasiliximab is a chimeric murine monoclonal antibody acts as IL-2 antagonist used to prevent organ rejection in kidney transplant.oMOA: Basiliximab binds with high-affinity to the alpha-subunit (CD25) of IL-2 receptor. This inhibits IL-2 binding, which inhibits T-cell activation and prevents an immune response in organ transplantation.oUses:-Indicated for prophylaxis of acute organ rejection in renal transplant patients and also as a part of an immunosuppressive regimen along with glucocorticoids and cyclosporine.Adverse effects - Anaphylactic reactions & opportunistic infections.Daclizumab: humanized lgG1 chimeric monoclonal antibody.Has a somewhat lower affinity but a longer t1/2 (20 days) than Basiliximab (7 days) MONOCLONAL ANTIBODIESAntibodyType1 TargetIndicationAbciximabChimeric1 Inhibition of Gp lib/IIIaCardiovascular diseaseAdalimumabHumanffInhibition of TNF-alfa signalingSeveral autoimmune disordersAlamtuzumabHumanized1 CD52CLLBasiliximabummericIL-2 receptor (CD25)Transplant rejectionBevacizumabHumanized1 Vascular endothelial GFColorectal cancer, macular degenerationDaclizumabHumanizedIL-2 receptor (CD25)Transplant rejectionEuclizumabHumanizedComplement system protein C5Paroxysmal nocturnal hemoglobinuria4 fefalizumabHumanizedCD11aPsoriasisGemtuzumabHumanizedCD33Acute myelogenous leukemiaInfliximabChimericInhibition of TNF-alfa signalingSeveral autoimmune disordersMuromonab-CD3MurineT cell CD3 receptorTransplant rejectionNatalizumabHumanized Multiple sclerosis and Crohn's diseaseOmalizumabHumanisedIG EAllergy related asthmaRitixumabChimericCD20 Non hodgekin's lymphomaTrastuzumabHumanizedErbB2Breast cancer